The most common adverse effect with ticlopidine is :
1. Neutropenia
2. Diarrhea
3. Hemorrhage
4. Thrombocytopenic purpura

Correct answer: 2. Diarrhea